Incised looking laceration is seen at?
1. Forehead
2. Hand
3. Thorax
4. Abdomen

Correct answer: 1. Forehead

Explanation: The synopsis of forensic medicine & toxicology ; Dr k.s.narayan reddy ;28th edition ; Pg .no. 110 Blunt force on areas where the skin is close to bone ,and the subcutaneous tissues are scanty ,may produce a wound that looks like a incised wound . In the options given forehead is the most applicable answer as it fulfils all the required condition to produce a incised looking wound .